Cartilaginous part of external auditory canal is
1. Medial 1/3
2. Lateral 1/3
3. Medial 2/3
4. Lateral 2/3

Correct answer: 2. Lateral 1/3

Explanation: Lateral 1/3rd of the external auditory canal is cartilaginous and medial 2/3rd is bony.Ref: Hazarika; 3rd ed; Pg 9